The auriculotemporal nerve encircles which of the following vessels?
1. Maxillary artery.
2. Superficial temporal artery.
3. Deep auricular artery.
4. Middle meningeal artery.

Correct answer: 4. Middle meningeal artery.

Explanation: After branching from the mandibular nerve (CN V3), the auriculotemporal nerve travels posteriorly and encircles the middle meningeal artery, remaining posterior and medial to the condyle. It then continues up towards the TMJ,external ear, and temporal region, passing through the parotid gland and traveling with the superficial temporal artery and vein.